Which of the following includes the classical triad of enlarged upper part of uterus, soft lower part of body and firm cervix 'during early pregnancy?
1. Hegar's sign
2. Jacquemier's sign
3. Osiander's sign
4. Goodell's sign

Correct answer: 1. Hegar's sign

Explanation: Ans. A. Hegar's signHegar's sign 'enlarged upper part of uterus, soft lower part of body and firm cervix 'during early pregnancySigns of Early Pregnancya. Jacquemier's or Chadwick's sign (eighth week): Dusky hue of vestibule and anterior vaginal wall.b. Osiander's sign (eighth week): Increased pulsations felt through lateral Fornices.c. Goodell's sign (sixth week): Softening of cervix.